Which of the following drug reduces blood pressure primarily acting on directly decreasing heart rate alone
1. Propranolol
2. Prazosin
3. Alpha methyl dopa
4. Sodium nitroprusside

Correct answer: 1. Propranolol

Explanation: Methyldopa is useful in the treatment of mild to moderately severe hypertension. It lowers blood pressure by Chiefly by reducing peripheral vascular resistance with variable reduction in heart rate and cardiac output Preservation and nitroprusside are vasodilator that produce reflex tachycardia instead of bradycardia Propronolo is a non selective Beta blocker and acts chiefly by decreasing heart rate Refer kDT 6/e p137